Haemophilus influenzae has been isolated from the CSF of a two year old boy suffering from meningitis. The strain is beta-lactamase producing and resistant to chloramphenicol. The most appropriate antimicrobial in such a situation is:
1. Trimethoprim-sulphamethoxazole combination
2. Ciprofloxacin
3. Third-generation cephalosporin
4. Vancomycin

Correct answer: 3. Third-generation cephalosporin

Explanation: If isolate is resisatnt to ampicillin, extended spectrum cephalosporins such as cefotaxime or ceftriaxone are used. Ref: Harrison's Principles of Internal Medicine, 17th Edition, Page 923 ; Text Book of Pediatrics By Nelson, 17th Edition, Pages 2042, 7905